The term physical half–life is applicable to:
1. Repository preparations
2. Prodrugs
3. Radioactive isotopes
4. Alkylating agents

Correct answer: 3. Radioactive isotopes